Most common feature of alcohol withdrawl is:
1. Violent attitude
2. Hypertension
3. Tremors
4. Hyperventilation

Correct answer: 3. Tremors

Explanation: Ans. C: Tremors The central adrenergic storm that occurs during alcohol withdrawal results in hyperventilation, tachycardia, hypertension, tremor, hyperthermia, and diaphoresis. Head and neck findings Stigmata of chronic alcoholism (e.g., flushed facies, vascular spider angiomata) may be present. - Paralysis of extraocular muscles and nystagmus may indicate Wernicke encephalopathy or other intracerebral processes. Chest findings in alcohol withdrawal - Tachypnea is expected during alcohol withdrawal, but dyspnea is not expected. Cardiac findings - Tachycardia and hypertension are common and expected during alcohol withdrawal. Abdominal findings - Stigmata of chronic alcoholism include caput medusae, ascites, and hepatomegaly. CNS findings - Alcohol withdrawal results in a progressive sequence of increasing anxiety, agitation, confusion, disorientation, - visual and auditory hallucinations, seizures, dysphoria, panic, and potentially violent attacks on others. Dysphoria due to opioid withdrawal may also promote negative reactions and possible violence in affected patients but are not associated with delirium. - Cranial-nerve deficits may indicate wernicke's encephalopathy (ocular nerve palsies), intracranial trauma, or bleeding - The essential features are a coarse tremor of the hands, tongue and eyelids with at least one of the above mentioned symptoms.